Which is not a alkylating agent?
1. Cyclophosphamide
2. Chlorambucil
3. 5-FU
4. Melphalan

Correct answer: 3. 5-FU

Explanation: 5-FU is an metabolite